Which of the following is not consider to be a slow viruse diseases -
1. Kuru
2. Scrapie
3. Creutzfeldt Jakob disease
4. Sarcoidosis

Correct answer: 4. Sarcoidosis

Explanation: kuru,scrapie,&CJD Are caused by slow virus REF:ANATHANARAYANAN MICROBIOLOGY NINTH EDITION PAGE.557